Half life of insulin is:
1. 1-2 min
2. 4-6 min
3. 0-12 min
4. 12-16 min

Correct answer: 2. 4-6 min

Explanation: The half-life of insulin in the circulation in humans is about 5 min.The half-life of the insulin receptor is about 7 hours.